Short head of the biceps muscle is attached to
1. Supraglenoid tubercle
2. Acromion process
3. Coracoid process
4. Bicipital groove

Correct answer: 3. Coracoid process

Explanation: Short head of the biceps brachii arises from the lateral part of the tip of coracoid process and gets attached to the posterior rough part of radial tuberosity . B D Chaurasia 7th edition Page no : 91